Rytand's murmur is seen in -
1. A-V Block
2. Mitral stenosis
3. Aortic stenosis
4. Aortic regurgitation

Correct answer: 1. A-V Block

Explanation: Ans. is 'a' i.e., A-V Block Rytand Murmuro Rytan s murmur is mid-diastolic (or late-diastolic) murmur that is heard in patients with complete atrioventricular heart block.o Rytand s murmur is best heard at the apex and may be con fused with mitral stenosis.# The slow heart rate, variable duration of the murmur, changing intensity of the SI and lack of opening snap are helpful: -o Also knowo Carey Coombs murmur-Rheumatic fevero Austin Flint murmur-Aortic regurgitationo Graham-Steel murmur-Pulmonary? regurgitationo Rylands murmur-Complete heart blocko Docks murmur-Left Anterior Descending (LAD) artery stenosiso Mill wheel murmur-Due to air emboli (air in PV cavity)